The differential diagnosis of lesion, histologically resembling giant cell tumour in the small bones of the hands or feet, includes all of the following except:
1. Aneursymal bone cyst
2. Fibrosarcoma
3. Osteosarcoma
4. Hyperparathyroidism

Correct answer: 2. Fibrosarcoma

Explanation: Ans. is 'b' i.e. Fibrosarcoma Histological differential diagnosis of Giant cell tumorGiant cell reparative granuloma (a benign reactive condition)Brown tumor of hyperparathyroidism Non-ossifying fibroma Benign fibrous histiocytoma Aneurysmal bone cyst Osteosarcoma with prominent giant cells.Metastatic ca with giant cells.